Sclerostin is produced by?
1. Osteocytes
2. Osteoblasts
3. Osteoclasts
4. Chondrocytes

Correct answer: 1. Osteocytes

Explanation: Sclerostin (SOST) is a glycoprotein produced by osteocytes. They also synthesize receptor activator of nuclear factor kappa B ligand (RANKL). Both of these are involved in regulating bone formation and resorption. EXTRA EDGE: Romosozumab, a humanized monoclonal antibody that binds to sclerostin, prevents sclerostin from exerting this inhibitory effect. Therefore, in the presence of romosozumab, the Wnt signaling pathway is activated leading to bone formation and bone mineral density gain.